Reduced FEV 1, Normal FVC and FEV 1/FVC ratio less than 0.7 .which is reversible with bronchodilator s is consistent with
1. Bronchial Asthma
2. Hypersensitivity penumonitis
3. Sarcoidosis
4. Polyarteritis nodosa

Correct answer: 1. Bronchial Asthma

Explanation: In Asthma FEV1(forced expiratory volume in 1 second), FVC(forced vital capacity, is the total volume exhaled), FEV1/FVC decreases. To daignose Asthma: Compatible clinical history plus either : 1)FEV1>12% increase following administration of a bronchodilator or glucocorticoids. 2)FEV1>15% decrease after 6min of exercise 3)>20% diurnal variation on >3days in a weeks on PEF(peak expiratory volume). Reference : Davison, 23rd Edition, page no : 569,555